Cricothyrotomy is converted to tracheostomy at an early stage to
1. Avoid subglottic stenosis
2. Avoid hypoxia
3. Prevent damage to epiglottis and vocal cords
4. Facilitate oxygenation

Correct answer: 1. Avoid subglottic stenosis

Explanation: Answer: a) Avoid subglottic stenosis (DHINGRA 6th ED, P-320)Cricothyrotomy or Laryngotomy or Mini-tracheostomy:* This is a procedure for opening the airway through the cricothyroid membrane.* Patient's head and neck is extended, lower border of thyroid cartilage and cricoid ring are identified.* Skin in this area is incised vertically and then cricothyroid membrane cut with a transverse incision.* This space can be kept open with a small tracheostomy tube or by inserting the handle of knife and turning it at right angles if tube is not available.* It is essential to perform an orderly tracheostomy as soon as possible because perichondritis, subglottic oedema and laryngeal stenosis can follow prolonged laryngotomy